Dhatura poisoning is characterized by :
1. Pinpoint pupil
2. Dilated salivary gland
3. Dilated pupil with facial flush
4. Decrease temp

Correct answer: 3. Dilated pupil with facial flush

Explanation: C i.e. Dialated pupils with facial flush